Anterior uveitis in a hypertensive patient, the drug of choice to decrease IOP –
1. Latanoprost
2. Pilocarpine
3. Epinephrine
4. Timolol

Correct answer: 4. Timolol

Explanation: β-blockers (Timolol) are the DOC to reduce IOT in a patient with uveitis.